Adenoids hypertrophy with symptoms treatment is all except:
1. Nasal decongestants
2. Antibiotics
3. b2 agonists
4. adenoidectomy

Correct answer: 3. b2 agonists

Explanation: (c) b2 agonists(Ref. Scott Brown, Vol 2; 288)b2 agonists (salbutamol/terbutaline) have no role in respiratory obstruction due to adenoids. They are used in lower airway obstruction diseases, e.g. asthma, etc.